A woman presents with a fluctuant non tender swelling at the introitus. The best treatment is
1. Marsupilisation
2. Incision and drainage
3. Surgical resection
4. Aspiration

Correct answer: 1. Marsupilisation

Explanation: Ans. is a i.e. Marsupilisation Fluctuant non tender swelling at the introitus suggests a diagnosis of bartholins cyst. Bartholins cyst 7 It is the commonest cyst of vulva. Bartholins cyst are produced from accumulation of secretions of Bartholins gland. The cyst may develop either in the duct (more common) or in the gland Aetiology : cyst formation occurs due to the obstruction of the main duct or opening of an acinus. The cause of obstruction is usually fibrosis which follows either infection or trauma. It was formerly believed that the infection was invarialy gonococcal but almost any orgnaism can be responsible. Left Bartholins gland is more often affected than the right. Presentation : Usually presents as a unilateral swelling that bulges across the vaginal introitus. Size of the cyst rarely exceeds hens egg. Swelling is present characteristically on the inner side of the junction of the anterior 2/3rd with posterior 1/3rd of the labium majus. The swelling is fluctuant and usually non tender. May present with discomfort, dyspareunia or infection. Treatment of choice is Marsupialization : Marsupialization is the gratifying surgery for Bartholins cyst. It is preferred over traditional exicision operations.